The antibody class specific for infectious mononucleosis is:
1. IgA
2. IgD
3. IgM
4. IgG

Correct answer: 3. IgM

Explanation: Ans. C i.e. IgM